Ormond's disease is
1. Retractile testis
2. Idiopathic retro peritoneal lymphadenopathy
3. Idiopathic retro peritoneal fibrosis
4. Idiopathic mediastinotis

Correct answer: 3. Idiopathic retro peritoneal fibrosis

Explanation: In 70% cases of Ormond's disease Idiopathic retro peritoneal fibrosis is seen.